Health related goal in Sustainable Development Goals
1. SGD 4
2. SDG 6
3. SDG 2
4. SDG 3

Correct answer: 4. SDG 3

Explanation: Ref:Park's Textbook of Preventive and Social Medicine 25th Ed P.523